Hand over mouth technique was first described by:
1. Dr. Evangeline Jordan
2. Addeston and Gold fried
3. Dr.G.V.Black
4. Dr. Goldman

Correct answer: 1. Dr. Evangeline Jordan